In winter's WAR line, Amber line represents the:
1. Relative depth of the III molar
2. Point of application of the elevator
3. Bone Level covering the impacted tooth
4. Axial inclination of the impacted tooth relative to II molar

Correct answer: 3. Bone Level covering the impacted tooth